Lymphatics from the spongy urethra drain into which of the following lymph nodes?
1. Sacral nodes
2. Deep inguinal nodes
3. Internal inguinal nodes
4. Superficial inguinal nodes

Correct answer: 2. Deep inguinal nodes

Explanation: Lymphatics from glans penis, prostatic urethra, spongy urethra and superficial inguinal nodes drains into deep inguinal lymph nodes.